Which of the following is a contraindication to the use of Beta Blockers:-
1. Glaucoma
2. Tachycardia
3. Bronchial asthma
4. Hypertension

Correct answer: 3. Bronchial asthma

Explanation: * Contraindication of Blocker:- Asthma AV Block Acute CHF Diabetes Mellitus * ss Blocker uses:- Hypertension Migraine Hyperthyroidism Angina pretoirs MI